Medial boundary of anatomical snuffbox is formed by
1. Extensor pollicis longus
2. Extensorpollicis brevis
3. Abductor pollicis longus
4. Flexor carpi ulnaris

Correct answer: 1. Extensor pollicis longus

Explanation: ANATOMICAL SNUFF BOX:-Elongated triangular depression seen on the lateral side of the dorsum of hand when the thumb is hyperflexed. BOUNDARIES:1. Anterolaterally-tendon of abductor pollicis longus,tendon of extensor pollicis brevis.2. Posteromedially-tendon of extensor pollicis longus.3. Floor-scaphoid and trapezium.4. Roof-skin and superficial fascia.Contents:-1. Radial artery.Structures crossing the roof deep to skin:-1. Cephalic vein.2. Terminal branch of superficial radial nerve. Pulsations of radial artery felt here.Tenderness felt here indicates fracture of scaphoid bone.Cephaloc vein at this site can be used for giving iv fluids. {Reference: Vishram Singh , page no.171} Figure 9.33,page no:122 BD chaurasia